All of the following are therapeutic uses of prazosin,except:
1. Peripheral vascular disease
2. Phaeochromocytoma
3. Lupus Erythematosus
4. Scorpion sting

Correct answer: 3. Lupus Erythematosus